Who propounded the germ theory of disease ?
1. Leeuwenhoek
2. Robert koch
3. Ambroise Parre
4. Louis Pasteur

Correct answer: 4. Louis Pasteur

Explanation: Ans is 'd' i.e., Louis Pasteur Louis Pasteur (1822-1895) demonstrated by the presence of bacteria in the air, thereby disproving the theory of "spontaneous generation" and proposed "germ theory of disease"